Which of the following is an enzyme inhibitor
1. Phenobarbitone
2. disulfiram
3. Phenytoin
4. CCl4

Correct answer: 2. disulfiram

Explanation: Disulfiram is inhibiting the enzyme aldehyde dehydrogenase- accumulation of acetaldehyde- various hangover effects- vomiting, nausea, headache, tremors, sweating. used in alcohol addiction- 1st dose of disulfiram is used in doctor's supervision REF KD Tripathi 8th ed